McArdle's disease is due to deficiency of -
1. Branching enzyme
2. Glucose 6 phosphatase
3. Acid maltase deficiency
4. Muscle phosphorylase

Correct answer: 4. Muscle phosphorylase

Explanation: Ans. is 'd' i.e., Muscle phosphorylase Type Enzyme deficiencyOrgan (s) affected1von Gierke's diseaseGlucose 6-phosphataseLiver, kidney11Pompe's diseasea (1 - 4) Glucosidase (acid maltase)All organsIIICori's disease/Forbe's diseaseDebranching enzymeMuscle, liverIVAndersen's diseaseBranching enzymeLiver, myocardiumVMcArdle's diseaseMuscle PhosphorylaseMuscleVIHers' diseasePhosphorylaseLiverVIITarui's diseasePhosphofructokinaseMuscle, RBCsVIII Phosphorylase kinaseLivero There is also on X-ltnked form of phosphorylase kinase deficiency. This is sole exception as all other glycogen storage diseases are inherited as autosomal recessive trait.